What is the most common cause of hypothyroidism world-wide?
1. Hashimoto thyroiditis
2. Subacute thyroiditis
3. Silent thyroiditis
4. Iodine deficiency

Correct answer: 4. Iodine deficiency

Explanation: Most common cause of hypothyroidism worldwide is IODINE DEFICIENCY In case of Iodine sufficiency most common cause of hypothyroidism : Autoimmune disease (Hashimoto Thyroiditis) and iatrogenic.